FEV1 / FEVC ratio is decreased in all, except
1. Bronchiectasis
2. Emphysema
3. Chronic bronchitis
4. Tuberculosis

Correct answer: 4. Tuberculosis

Explanation: ParameterObstructive lung diseaseRestrictive lung diseaseTotal lung capacityNormal to increaseDecreaseResidual volumeIncreaseDecreaseVital capacityDecreaseDecreaseFEV1/ FVC (FEV1%)DecreaseNormal to increaseFEF 25-75% (Forced expiratory flow rate)Decrease NormalDiffusion capacityNormal (| in emphysema)DecreasedRefer: Harrison's Principles of Internal Medicine, 18th edition, pg no: 2163-2165